Predictable compliment of optimum tooth preparation should satisfy
1. Biological requirement
2. Esthetic requirement
3. Combination of compromises among the prevalency biological and mechanical considerations
4. Biological, mechanical and esthetic requirement

Correct answer: 4. Biological, mechanical and esthetic requirement